All of the following abnormalities are predisposing causes for torsion of the testis except -
1. Inversion of testis
2. Low investment of tunica vaginalis
3. Between 10 to 25 years of age
4. Separation of the epididymis

Correct answer: 2. Low investment of tunica vaginalis